Typical bodies in Bronchial mucosa from Sputum of Patient is seen in
1. Bronchial asthma
2. Emphysema
3. Chronic bronchitis
4. Bronchiectasis

Correct answer: 1. Bronchial asthma

Explanation: Bronchial asthma (Body shown: Creola body)